False statement about trigeminal nerve:
1. Carries sensation from face and scalp
2. Has motor branch
3. Arise from C8 nerve root
4. Composed of spinal nucleus

Correct answer: 3. Arise from C8 nerve root

Explanation: C i.e. Arise from C8 nerve root